The following glands contain the myoepithelial cells, except
1. Mammary glands
2. Salivary glands
3. Sebaceous glands
4. Sweat glands

Correct answer: 3. Sebaceous glands

Explanation: Myoepithelial cells - Apart from muscle myoepithelial cells show the presence of contractile proteins (actin and myosin). Myoepitheliocytes (or myoepithelial cells) are present in close relation to secretory elements of some glands. They help to squeeze secretions out of secreting elements. Myoepithelial cells may be stellate, forming baskets around acini, or may be fusiform. Myoepitheliocytes are seen in salivary glands, the mammary glands, and sweat glands. These cells are of ectodermal origin. With the EM they are seen to contain actin and myosin filaments. They can be localised histochemically, because they contain the protein desmin that is specific to muscle. Myoepithelial cells are innervated by autonomic nerves. REF : Inderbir Singh's Textbook of Human Histology, Seventh edition, pg.no., 126.